Mondor's disease is
1. Superficial thrombophlebitis of breast
2. Fat necrosis in breast
3. Postradiation breast and arm edema
4. Skin infection over the breast

Correct answer: 1. Superficial thrombophlebitis of breast

Explanation: Mondor's disease is spontaneous thrombophlebitis of the superficial veins of the breast and anterior chest wall cause is unknown it is often self limited it often mimics the lymhatic permeation of the carcinoma of breast ref ;(page no;525) 5th edition of SRB'S Manual of SURGERY